Cremasteric muscle nerve supply:
1. Ilioinguinal nerve
2. Iliohypogastric nerve
3. Genital branch of genitofemoral nerve
4. Femoral nerve

Correct answer: 3. Genital branch of genitofemoral nerve

Explanation: Ans. C Genital branch of genitofemoral nerveRef: Gray's Anatomy Review E-book, P 221* The cremaster muscle is a muscle that covers the testis and the spermatic cord.* The cremaster muscle is supplied by the cremasteric artery which is a branch of inferior epigastric artery.* The cremaster muscle is innervated from the genital branch of the genitofemoral nerve. It receives distinctly different innervation and vascular supply in comparison to the internal oblique.